Commonest type of presentation is :
1. Breech
2. Shoulder
3. Brow
4. Vertex

Correct answer: 4. Vertex

Explanation: Vertex